Dose of Reteplase for management of Acute MI is?
1. 5 IU
2. 10 IU
3. 15 IU
4. 50 IU

Correct answer: 2. 10 IU

Explanation: Answer- B. 10 IUThe recommended dose for Reteplase in Acute Myocardial infarction is l0 Unit bolus given over 2 minutes.It is recommended to repeat the second I0 unit dose after 30 minutes.